In a epidemic of poliomyelitis, the best way to stop spread is by -
1. Injection of killed vaccine
2. OPV drops to all children
3. Isolation of cases
4. Chlorination of all wells

Correct answer: 2. OPV drops to all children

Explanation: - within an epidemic area, OPV should be provided for all persons over 6 weeks of age who have not been completely immunised or whose immune status is unknown. - OPV offers herd immunity and this property is used in controlling epidemic. Reference : Park's textbook of preventive and social medicine, 23rd edition, pg no:208